Most common intracranial tumor encroaching the orbit is?
1. Astrocytoma
2. Glioblastoma multiforme
3. Sphenoid wing meningioma
4. Medulloblastoma

Correct answer: 3. Sphenoid wing meningioma

Explanation: ANSWER: (C) Sphenoid wing meningiomaREF: Computed tomography of the eye and orbit by Steven B. Hammerschlag, John R. Hesselink, Alfred L. Weber Page 120Meningioma is by far the most common intracranial tumor to involve the orbit. Sphenoid wing meningiomas characteristically produce exuberant hyperostosis on both the orbital and middle fossa sides of the sphenoid wing.